A 62 year old patient presents with hematuria. On investigations he is
found to have renal calculi, calcifications in the wall of urinary bladder and
small contracted bladder. most likely cause is
1. Bladder diverticulitis
2. Schistosomiasis
3. Prostate calculi
4. Ca. bladder

Correct answer: 2. Schistosomiasis

Explanation: Schistosomiasis will cause calcification and increases risk for ca. Bladder
(SCC > TCC).